Which of the following ovarian tumors is most radiosensitive -
1. Carcinoid
2. Dysgerminoma
3. Serous Cystadenocarcinoma
4. Brenner tumor

Correct answer: 2. Dysgerminoma

Explanation: Ans. is 'b' i.e., Dysgerminoma o Dysgerminoma is the most radiosensitive among the ovarian tumors, but radiotherapy is not the treatment of choice as dysgerminoma occurs in pre - reproductive or reproductive age group and fertility is impaired with radiotherapy.